Decreased LAP score is found in:
1. Leukaemoid reaction
2. Myelofibrosis
3. Pernicious anemia
4. Polycythemia

Correct answer: 3. Pernicious anemia

Explanation: Ans. C: Pernicious anemia Leukocyte alkaline phosphatase is a test how much alkaline phosphatase (ALP) is inside white blood cells. A. Higher-than-normal results may be due to: Leukemoid (leukemia-like) reaction Myelofibrosis Polycythemia vera. B. Lower-than-normal results may be due to: Aplastic anemia Chronic granulocytic leukemia Pernicious anemia.